Nosocomial infections are diagnosed after how many hours of hospitalization/ admission?
1. 24 hours
2. 48 hours
3. 72 hours
4. 96 hours

Correct answer: 2. 48 hours

Explanation: Nosocomial infections-Defined as those infections occurring within 48 hours of hospital admission, 3 days of discharge or 30 days of an operation.Gram-positive bacteria are the commonest cause of nosocomial infections withStaphylococcus aureusbeing the predominant pathogen.